All the following drugs can cross placenta EXCEPT:
1. Phenytoin
2. Diazepam
3. Morphine
4. Heparin

Correct answer: 4. Heparin